In a patient of orbital cellulitis, micro organism on culture show greenish colonies and optochin sensitivity. The most likely organism is -
1. Strep. viridans
2. Staphylococcus
3. Pseudomonas
4. Pneumococcus

Correct answer: 4. Pneumococcus